Sjogren's syndrome refers to disease of -
1. Parotid glands
2. Thyroid disease
3. Parathyroid glands
4. Multiple endocrine neoplasia

Correct answer: 1. Parotid glands